The best investigation for colorectal carcinoma -
1. Exfoliative cytology
2. Air contrast barium enema
3. Ultrasound
4. Colonoscopy and biopsy

Correct answer: 4. Colonoscopy and biopsy